Optic tract is related to -
1. Olivary mucleus
2. Lateral geniculate body
3. Medial geniculate body
4. Trapezoid body

Correct answer: 2. Lateral geniculate body

Explanation: Medial geniculate body → Auditory pathway
Lateral geniculate body → Optic (visual) pathway